Which of the following thalamic nuclei does NOT project to neocortex?
1. Intralaminar nuclei
2. Reticular nuclei
3. Pulvinar nuclei
4. Anterior thalamicnuclei

Correct answer: 2. Reticular nuclei

Explanation: they have intra thalamic connections and do not project into cerebral cortex, lie between external medullary lamina and the internal capsule Ref: Gray's 39e/p-227